Subacute Sclerosing Pan Encephalitis (SSPE) is a complication of:
1. Measles
2. Mumps
3. Rubella
4. Chicken pox

Correct answer: 1. Measles

Explanation: Measles: Cause : RNA paramyxovirus. Incubation period: 10-14 days. Source of infection: Cases . Mode of transmission : Respiratory / air droplets. Period of communicability : 4 days before & 5 days after rash. Pathognomic clinical feature : Koplik spot . Clinical feature : Retro-auricular origin of rash. MC complication : Serous otitis media. Subacute sclerosing pan encephalitis is a rare,late complication of measles - Aka 'dawson's disease', Dawson's encephalitis. Vaccine : Live attenuated ; Edmonsten zagreb strain.